Which of the following is not true regarding development of inferior vena cava?
1. Hepatic portion is formed by right vitelline vein
2. Infra renal portion by supra cardinal vein
3. Renal & supra renal portion by sub cardinal vein
4. Beginning of IVC by anterior cardinal vein

Correct answer: 4. Beginning of IVC by anterior cardinal vein

Explanation: DEVELOPMENT OF VENOUS DRAINAGE : Beginning of IVC is by posterior cardinal vein. Renal & supra renal portion formed by sub cardinal vein Infra renal portion formed by supra cardinal vein Hepatic portion is formed by right vitelline vein Anterior cardinal vein forms SVC